At Primary Health Centre (PHC) level, vaccines Are stored in the -
1. Cold box
2. Deep freezer
3. Ice lined refrigerator
4. Walk in cold room

Correct answer: 3. Ice lined refrigerator